Cells in vaginal cytology increase in reproductive age under the influence of
1. Progesterone
2. FSH
3. LH
4. Oestrogen

Correct answer: 4. Oestrogen

Explanation: Ans: d (Oestrogen)EXPLANATION:A majority of cells observed in a normal vaginal smear are, not surprisingly, vaginal epithelial cells. In addition, varying numbers of leukocytes, erythrocytes and bacteria are usually evident, and small numbers of other contaminating cells and microorganisms are sometimes observed.Analyzing a vaginal smear is largely an exercise in classifying the epithelial cells into one of three fundamental types: parabasal, intermediate or superficial cells. Parabasal cells are the smallest epithelial cells seen on a typical vaginal smear.They are round or nearly round and have a high nuclear to cytoplasmic ratio.Intermediate CellsIntermediate cells vary in size and shape, but typically have a diameter two to three times that of parabasal cells. Many cytologists subclassify these cells into:Small intermediates - nearly round or oval shape with large, prominent nucleiLarge intermediates - polygonal shape with a small nuclear/cytoplasmic ratio Intermediate cells are prevalent during all stages of the cycle except estrus.Superficial CellsSuperficial cells are the largest cells seen on a vaginal smear.They are polygonal in shape and distinctly flat, sometimes having the appearance of being rolled up.Their nuclei are either absent or pyknotic (very small and dark).Superficial cells without nuclei are often referred to as being "fully comified".